False about bruisea) Much darker at point of contact/pressureb) Blood is present in vessel and can be easily washed awayc) Seen at/around the area of injuryd) Extravasation of blood occurse) Produced by blunt object
1. ab
2. abd
3. ac
4. bce

Correct answer: 1. ab

Explanation: The bruise is lighter in colour in areas of contact/pressure.
Blood is present outside the vessel (extravasated) and cannot be easily washed away.
It usually appears at and around the injury.
The bruise is produced by trauma due to blunt object.